Myenteric plexus is present in
1. Muscularis externa
2. Submucosa
3. Mucosa
4. Serosa

Correct answer: 1. Muscularis externa

Explanation: The myenteric plexus ( Auerbach's plexus), is situated between the outer longitudinal and middle circular muscle layers.The submucous plexus ( Meissner's plexus) is present between the middle circular layer and mucosa.Collectively these neurons constitute the enteric nervous system.It is also referred to as the " LITTLE BRAIN "(Ref: Ganong's Review of medical physiology, 23 rd edition, page 448)